Which of the following is not X linked condition-
1. Duchenne muscular dystrophy
2. Emery-Dreifuss muscular dystrophy
3. Facioscapulohumeral muscular dystrophy
4. Becker muscular dystrophy

Correct answer: 3. Facioscapulohumeral muscular dystrophy

Explanation: Facioscapulohumeral muscular dystrophy is a form of autosomal dominant inherited form of muscular dystrophy. X-linked Recessive Inheritance Hemophilia A Duchenne/Becker muscular dystrophy Fragile X syndrome Facioscapulohumeral muscular dystrophy is a disorder characterized by muscle weakness and wasting (atrophy). This condition gets its name from the muscles that are affected most often: those of the face (facio-), around the shoulder blades (scapulo-), and in the upper arms (humeral). (Robbins Basic Pathology,9th edition,pg no. 219)